Cadaveric position of vocal cords is
1. Midline
2. 1.5 mm from midline
3. 3.5 mm from midline
4. 7.5 mm from midline

Correct answer: 3. 3.5 mm from midline

Explanation: As all the laryngeal muscles are paralyzed, both cords lie in cadaveric position. There is also total anaesthesia of the larynx. This is the neutral position of the cricoarytenoid joint. It is about 3.5 mm from the midline. The healthy cord is unable to approximate the paralyzed cord, thus causing glottic incompetence. This results in hoarseness of voice and aspiration of liquids through the glottis. Cough is ineffective due to air waste. Ref: PL Dhingra Textbook of Ear, Nose and Throat, Edition 7, page - 338